All is true about digastric triangle EXCEPT:
1. On either side is anterior belly of digastric muscle
2. Floor is formed by mylohyoid muscle
3. Floor is formed by hyoglossus muscle
4. Contains mylohyoid nerve & vessels

Correct answer: 1. On either side is anterior belly of digastric muscle

Explanation: Digastric triangle is bounded by anterior belly if digastric anteriorly & posterior belly posteriorly.Mylohyoid & hyoglossus muscles are the floor.Digastric triangle contains mylohyoid nerve & vessels, submandibular gland, facial artery & vein, hypoglossal nerve & submandibular lymph nodes.